Blood in splanchnic area during exercise is decreased due to:
1. Venoconstriction with decreased blood flow
2. Venodilation with decreased blood flow
3. Venodilation with increased blood flow
4. Venodilation with normal blood flow

Correct answer: 1. Venoconstriction with decreased blood flow

Explanation: During exercise venoconstriction in splanchnic vessels dive the blood from splanchnic to skeletal muscle